Medial wall of Orbit is formed by all except
1. Lesser wing of Sphenoid
2. Frontal process of Maxilla
3. Lacrimal bone
4. Orbital plate of Ethmoid

Correct answer: 1. Lesser wing of Sphenoid

Explanation: Medial wall of the Orbit is formed by:From before backwards1. Frontal process of maxilla2. Lacrimal bone3. Orbital plate of ethmoid4. Body of sphenoidReference: Chourasia; 6th edition; 29th page